Oesophageal atresia may occur as a part of VACTER group of anomalies. What does 'TE' stand for?
1. Tetralogy of Fallot
2. Thoracis empyema
3. Tracheo-oesophageal fistula
4. Talipes equinovarus

Correct answer: 3. Tracheo-oesophageal fistula

Explanation: VACTER ANOMALIES : V-Vertebral defects A-Anal atresia C-cardiacdefect(PDA/VSD) TE-Tracheo-oesophageal fistula R-Radial hypoplasia and renal agenesis Ref : SRB'S MANUAL OF SURGERY,PG NO:857,4th edition